Which of the following is catalase positive?
1. Staph epidermidis
2. Enterococcus
3. Streptococcus
4. Pneumococcus

Correct answer: 1. Staph epidermidis

Explanation: Catalase test is used mainly to differentiate between Staphylococcus(Catalase positive) and Streptococcus (Catalase negative). +ve Catalase test = Bubble formation due to release of nascent O2 from H2O2 by Catalse enzyme in the colony Catalase positive organisms Staphylococcus Pseudomonas aeruginosa Aspergillus fumigatus Candida Enterobacteriaceae except Shigella dysentry type 1